Arsenic is used in treatment of:
1. Acute promyelocytic leukemia
2. A.L.L
3. CML
4. Transient myeloproliferative disorder

Correct answer: 1. Acute promyelocytic leukemia

Explanation: Answer is A (Acute promyelocytic leukemia)